Radiation exposure is least in
1. CT pelvis
2. IVP
3. Cystography
4. Micturating cysto - Urethrogram

Correct answer: 4. Micturating cysto - Urethrogram

Explanation: MCU : 1 - 2 (msv) - 60 chest x - ray.
Cystography : 1- 8 (msievert) - 90cxr.
IVP : 2 - 4 - 120cxr.
CT pelvis : 10 - 500cxr.